The commonest complications of topical steroids is -
1. Glaucoma
2. Cataract
3. Ptosis
4. Iritis

Correct answer: 1. Glaucoma